The following test is not used for dignosis of leprosy-
1. Lepromin test
2. slit skin smear
3. Fine needle aspiration cytology
4. skin biopsy

Correct answer: 1. Lepromin test

Explanation: Lepromatous test it is not a diagnostic test but a prognostic test. it helps in the classification of leprosy. antigens used for skin testing: mitsuda lepromin, Dharmendra leprominmanifests as biphasic reaction: early Fernandez (48-72hrs)and late mitsuda reaction (3-4weeks)Represents Cmi towards antigen. Erythema and induration more than 5mm indicates positive and good delayed hypersensitivity. lepromin test positive: tuberculoid, borderline tuberculoid leprosy lepromin test negative in lepromatous leprosy, borderline lepromatous leprosyand mid borderline leprosy iadvl textbook of dermatologypage 2060